Glasgow coma scale include all except
1. Eye opening
2. Verbal response
3. Motor response
4. Sensory response

Correct answer: 4. Sensory response

Explanation: .maximum score in glasgow coma scale =15 minimum score =3 mild head injury =13-15 moderate head injury = 9-12 severe head injury =less than 8 (3-8) glasgow coma scale EYE OPENING spontaneous -4 to speech -3 to pain -2 no response -1. VERBAL RESPONSE oriented -5 confused -4 inappropriate words -3 incomprehensible sounds -2 none -1 MOTOR RESPONSE obeys commands -6 localises pain -5 withdrawal response -4 abnormal flexion -3 extension -2 no response -1 .